. All of the following can cause megakaryocytic thrombocytopenia, except -
1. Idiopathic thrombocytopenic purpura
2. Systemic lupus erythematosus
3. Aplastic anemia
4. Disseminated intravascular coagulation (DIC)

Correct answer: 3. Aplastic anemia